Topical mitomycin -C is used in(REPEAT)
1. Sturge Weber syndrome
2. Laryngo tracheal stenosis
3. Endoscopic anhiofibroma
4. Skull base osteomyelitis

Correct answer: 2. Laryngo tracheal stenosis

Explanation: Refer American college of chest physician's, 2008 Mitomycin is an anti tumor antibiotic with alkyating agent like property. It is used in superficial cancer not urinary bladder and for squamous cell carcinoma of anus The drug has radiomimetric effectw6 and also sensitizes hypoxic tumor cells to the effects of hypoxia. Application of topical mitomicin C after endoscopic dilation of laryngo tracheal stenosis reduces the rate of restenosis